Which is not a function of PHC ?
1. Medical care
2. Referral services
3. Advanced Laboratory services
4. MCH

Correct answer: 3. Advanced Laboratory services

Explanation: Ans. is 'c' i.e., Advanced Laboratory services